In Iron deficiency anaemia, what is seen?
1. Increased Protoporphyrin
2. Increased iron
3. Increased ferritin
4. Increased transferrin saturation

Correct answer: 1. Increased Protoporphyrin

Explanation: Since its iron def anemia there is decreased iron , ferritin , and transferin saturation . There is increased protoporphyrin levels as there is impaired maturation of Hb due to Fe deficiency. Ref: robbins 9/e pg :649